All of the following CSF findings are present in tuberculous meningitis, except:
1. Cob web formation
2. Elevated protein levels
3. Elevated sugar levels
4. Decreased chloride levels

Correct answer: 3. Elevated sugar levels

Explanation: Usually sugar value decreases with elevated total WBC, in Tubercular Meningitis as given below. CSF examination in tuberculous meningitis shows cob-web formation, lymphocytic leukocytosis (up to 1000/ L), increased protein (100-800 mg/dL), low chloride levels and a low glucose concentration. In one-third of cases acid fast bacilli are seen on direct smear of CSF. Culture of CSF is the gold standard of diagnosis. CT and MRI shows hydrocephalus and abnormal enhancement of basal cisterns or ependyma. Ref: Harrison's Internal Medicine, 18th Edition, Chapter 165